Nicotine receptor sites include all of the following except-
1. Bronchial smooth muscle
2. Adrenal medulla
3. Skeletal muscle
4. Sympathetic ganglia

Correct answer: 1. Bronchial smooth muscle

Explanation: Ans. is 'a' i.e., Bronchial smooth muscle Smooth muscles have muscarinic receptors (M3 type).